Investigation of choice for a pregnant lady with upper abdominal mass is
1. USG
2. X-ray
3. CT
4. MRI

Correct answer: 1. USG

Explanation: Ultrasound is the most commonly used imaging exam during pregnancy. It usually focuses on the baby in the womb. When ultrasound does not provide a clear answer, or if other parts of your body need to be imaged, an MRI is usually performed. MRI does not use x-rays.